Which of the following is true regarding transmission of Toxoplasma?
1. Vertical
2. Ingestion of uncooked cyst
3. Organ transplantation
4. All of the above

Correct answer: 4. All of the above

Explanation: D i.e. All of the aboveRef: Paniker's Textbook of Parasitology, 6th edition, page 96-103Explanation:Toxoplasma gondii is an obligate intracellular Apicomplexan parasite.Definitive host: Cat (Felidae).Intermediate/accidental host: Other animals.3 Stages:Tachyzoites in Pseudocyst.Bradyzoites in Tissue cyst.Sporozoites in Oocyst (excreted in cat feces).Modes of Infection in Human:Ingestion of oocysts.Consumption of raw/undercooked meat.Handling of infected meat.Transplacental.Organ transplantation and blood transfusion.Accidental inoculation of tachyzoites.